Barr body appears in female fetus at-
1. 3 weeks
2. 10 weeks
3. 15 weeks
4. 20 weeks

Correct answer: 1. 3 weeks